Highest concentration of potassium is seen in -
1. Jejunum
2. ileum
3. Duodenum
4. Colon

Correct answer: 4. Colon

Explanation: • Maximum K+ concentration: Colon (30 mEq/L) >Saliva (25 mEq/L)